The most common site of ligation in female sterilisation is:
1. Isthmus
2. Ampullary
3. Cornual
4. Fimbrial

Correct answer: 1. Isthmus

Explanation: Ans. is 'a' i.e. Isthmus Ligation and Tubectomy in the process of tubal sterilization is most commonly preferred in the proximal isthumic portion of the fallopian tube.